Depot medroxyprogesterone acetate is sparingly used as a contraceptive because it causes :
1. Cardio vascular complications
2. Lactational failure
3. Breast cancer
4. Irregular menstrual bleeding

Correct answer: 4. Irregular menstrual bleeding

Explanation: Irregular menstrual bleeding